Features of hypothyroidism in infancy include the following except
1. Premature closure of posterior fontanelle
2. Coarse facies
3. Umbilical hernia
4. Constipation

Correct answer: 1. Premature closure of posterior fontanelle

Explanation: Hypothyroidism characterized by wide open ( delayed closure) of posterior fontanelle,umbilical hernia,large head,coarse facies,constipation. Reference : Ghai essential of pediatrics, eighth edition, p.no:517,table 17.6.